Which of the following is not transmitted transplacentally -
1. Mumps
2. Syphilis
3. Rubella
4. Toxoplasma

Correct answer: 1. Mumps

Explanation: Ans. is 'a' i.e., Mumps Common transplacentally transmitted infections Viral -> CMV (most common), HBV, HCV, HIV, Rubella, HSV, Parvovirus-B19, Varicellazoster, coxsackie virus. Bacterial Syphilis, TB Parasites --> Plasmodium, toxoplasma, T-cruzi.